A test was done to compare serum cholesterol levels in obese and non-obese women. The test for significance of difference is :
1. Paired T test
2. Student T test for independent variables
3. Chi square
4. Fischer test

Correct answer: 2. Student T test for independent variables

Explanation: Ans. is 'b' i.e. Student t test for independent variables The variable measured is serum cholesterol which is normally distributed in the population .The two groups are independent of each other